Endothelium activation refers to -
1. Aberration of anatomy of vessel wall
2. Irreversible changes in functional state of vessel wall
3. Smooth muscle proliferation
4. Increased expression of adhesion molecules for leukocyte recruitment

Correct answer: 4. Increased expression of adhesion molecules for leukocyte recruitment

Explanation: Ans. is 'd' i.e., Increased expression of adhesion molecules for leukocyte recruitment o Vascular endothelium in its normal, unactivated state does not bind circulating cells or impede their passage,o In acute inflammation, the endothelium is activated and can bind leukocytes as a prelude to their exit from the bloodvessels.o Inflammatory mediators like thrombin, IL - 1, Platelet Activating Factor, Histamine And TNFactivate endothelial cells by increasing expression of adhesion molecules which can bind leukocytes for leukocyte recruitment.